18,20,22,24,26,28 and 30, Best Central tendency is determined by:-
1. Mean
2. Median
3. Mode
4. Range

Correct answer: 1. Mean

Explanation: The Metric data is evenly dispersed around the mean, and it is not skewed, Hence the best measure of central tendency is MEAN. Median is preferred in case of Ordinal data; outliers. Mode is preferred in Nominal data.